Which structure carries axons from the nucleus gracilis to the thalamus?
1. Fasciculus gracilis
2. Fasciculus lemniscus
3. Lateral spinothalamic tract
4. Medial lemniscus

Correct answer: 4. Medial lemniscus

Explanation: The medial lemniscus conveys axons from the nucleus gracilis and cuneatus to the thalamus (see the figure below).